Three bony point relationship is maintained in:
1. Supracondylar humerus
2. Dislocation of elbow
3. Lateral condyle
4. Intercondylar

Correct answer: 1. Supracondylar humerus

Explanation: A i.e. Supracondylar